In pheochromocytoma, not a part the rule of 10 is?
1. 10% are bilateral
2. 10% are malignant
3. 10% are extra-adrenal
4. 10% are symptomatic

Correct answer: 4. 10% are symptomatic

Explanation: Ans is 'd' i.e. 10% are symptomatic o Pheochromocytomas usually subscribe to a convenient "rule of 10" or "10% tumor"; i.e. 10% of pheochromocytomas are :-1) Bilateral2) Extra-adrenal3) Familial4) Malignant5) Multiple6) Occur in children